Which muscle is irritated by inflamed retrocaecal appendix -
1. Psoas major
2. Gluteus maximus
3. Quadratus femoris
4. Obturator internus

Correct answer: 1. Psoas major

Explanation: Ans. is 'a' i.e., Psoas major Abdominal pain in appendicitis:* In children with abdominal pain, who hold their right hip in a flexed position to obtain relief from the pain, one should suspect retrocaecal appendicitis causing irritation of the psoas muscle.